Inferior thyroid artery arises from
1. 1st part of subclavian artery
2. Thyrocervical trunk of 1st part of subclavian artery
3. 3rd part of subclavian artery
4. Internal carotid artery

Correct answer: 2. Thyrocervical trunk of 1st part of subclavian artery